which of the following is not a sign of pitutary apoplexy ?
1. hypertension
2. shock
3. LOC
4. headache

Correct answer: 1. hypertension

Explanation: Signs of Pituitary Apoplexy - Headache , Visual deficits, Ophthalmoplegia or ptosis , Nausea and vomiting , Alteration in level of consciousness , Meningismus , Hemiparesis , Fever ref : harriosns 21st ed